Recurrent suicidal tendency, aberrant interpersonal relationship, black and white phenomena are characteristic of:
1. Borderline personality
2. Schizotypal personality
3. Histrionic personality
4. Narcissistic personality

Correct answer: 1. Borderline personality

Explanation: Histrionic Personality Disorder Emotional instability, excitability, over-activity Immaturity, dependency, and self-dramatization that is attention seeking and seductive. Narcissistic Personality Disorder Grandiose feelings, a sense of entitlement, a lack of empathy Envy, manipulativeness, and a need for attention and admiration. Borderline Personality Disorder Instability, impulsiveness Chaotic sexuality Suicidal acts, self-mutilating behavior Identity problems, ambivalence, and feeling of emptiness and boredom Intense but unstable relationships Have a tendency to think in extremes, a phenomenon called "dichotomous" or "black-or-white" thinking Schizotypal Personality Disorder Odd & eccenteric thinking & behaviour Magical thinking Strange ways of communication Decompensate in period stress Illusions & momentary hallucinations Lack of close relationships